Recurrent non-granulomatous uveitis is seen in?
1. Vogt koyanagi-Harada syndrome
2. Posner-Schlossman syndrome
3. Tuberculosis
4. Sarcoidosis

Correct answer: 2. Posner-Schlossman syndrome

Explanation: Ans. is `b' i.e., Posner-Schlossman syndrome Glaumatocyclic crisis Glamatocyclitic crisis (Posner - Schlossman syndrome) is a unilateral recurrent non- granulomatous iritis that is associated with an elevated ocular pressure during the attacks. This self- limiting condition tends to occur in persons during the third to sixth decade and the visual fields, the optic nerve head, and anterior chamber angle are normal. A mild inflammatory reaction is very rarely present as evidenced by a few keratic precipitates on the posterior surface of the cornea. The cause of the glaucoma remains unknown, but a trabeculitis is suspected. Many patients (55%) subsequently develop open angle glaucoma.